True about malaria diagnosis:
1. Thick smear to identify parasite
2. ABER reveals positivity by 100
3. All have same incubation
4. Fluorescein Ab becomes positive within 1 week

Correct answer: 1. Thick smear to identify parasite

Explanation: Ans. (a) Thick smear to identify parasite Thick film is more sensitive as it concentrates 20-30 layer of blood cells in small area Number of slides examined Annual blood examination rate, ABER -__________________________ x 100 population Incubation period of different malaria is different.